Sputum microscopy for TB diagnosis has
1. High sensitivity and low specificity
2. Low sensitivity and Low specificity
3. Low sensitivity and High specificity
4. High sensitivity and High specificity

Correct answer: 3. Low sensitivity and High specificity